Which of the following is not a C-C chemokine?
1. IL-18
2. MCP-1
3. Eotaxin
4. MIP-1a

Correct answer: 1. IL-18

Explanation: C-C chemokines include monocyte chemoattractant protein (MCP-1, CCL2), eotaxin (CCL11), macrophage inflammatory protein-1a (MIP-1a, CCL3) These generally attract monocytes, eosinophils, basophils, and lymphocytes Less potent as chemoattractant for neutrophils IL-18 (CXCL18) is a type of C-X-C chemokine, secreted by activated macrophages, endothelial cells, and causes activation and chemotaxis of neutrophils.